A clinical diagnosis of meningitis is confirmed with a latex agglutination test on CSF for the capsular poly-saccharide of the organism. The most likely causative agent is
1. Candida albicans
2. Cryptococcus
3. Paracoccidioides brasiliensis
4. Histoplasma capsulatum

Correct answer: 2. Cryptococcus

Explanation: (B) Cryptococcus # C. neoformans occurs widely in nature, particularly in soil contaminated with bird droppings. Human Infection occurs when inhalation of the organism occurs.> Lung infection is often asymptomatic but can result in pneumonia. Meningitis occurs through dissemination, particularly In immuno- suppressed patients.> India Ink preparations of CSF reveal a budding yeast with a wide, unstained capsule in infected persons.